Infection of Eyelash follicle is
1. Stye
2. Impetigo
3. Boil
4. Carbuncle

Correct answer: 1. Stye